Addison's disease is characterized by following except:
1. Hyperkalemia
2. Hypotension
3. Hyponatremia
4. Hypocalcemia

Correct answer: 4. Hypocalcemia

Explanation: Answer is D (Hypocalcemia): Addison's disease may he associated with Hypercakemia and not hypocafremia. In Addison's disease Hypercalcemia occurs in 10-20% of patients due to unclear reasons - Harrison Addison 's disease may be associated with Hyperkalemia, Hvponatremia and hypotension as explained in the previous question.